Accepting the null hypothesis when it is false:
1. Type-I error
2. Type III error
3. Type II error
4. Type IV error

Correct answer: 3. Type II error